Which of the following antibiotic can be administered in group B B lactamase induced resistance?
1. 3rd generation cephalasporin
2. Amoxicillin
3. Monobactam
4. Oxacillin

Correct answer: 3. Monobactam

Explanation: Group B B lactamase (also called as metallo enzymes) hydrolyze all B lactam antibiotics except Monobactum.